Jeep's disease is
1. Anal incontinence
2. Haemorrhoids
3. Pilonidal sinus
4. Anal fissure

Correct answer: 3. Pilonidal sinus

Explanation: The term pilonidal sinus describes a condition found in the natal cleft overlying the coccyx, consisting of one or more, usually non-infected, midline openings, which communicate with a fibrous tract lined by granulation tissue and containing hair lying loosely within the lumen. A common affliction amongst the military, it has been referred to as Jeep disease. Reference : Bailey & Love, 27th Edition, page no = 1347.